Nails are formed in which week of IUL ___________
1. 0-6 week
2. 10-12 week
3. 14-18 week
4. 20-24 week

Correct answer: 2. 10-12 week

Explanation: Around week 11, the nail beds (the layer of cells underneath the fingernails and toe nails) begin to form; then in the second trimester, tiny nails will sprout up. There's nothing you can do to speed up, improve or impact the development of your little one's skin, hair and nails. Reference: GHAI Essential pediatrics, 8th edition